Drug of choice for treating anaphylaxis is :
1. Adrenaline
2. Corticosteroid
3. Antihistaminic
4. Sodium cromoglycate

Correct answer: 1. Adrenaline